The best gas used for pneumoperitoneum laparoscopy is
1. N2
2. O2
3. CO2
4. NO

Correct answer: 3. CO2

Explanation: Carbon dioxide is the most widely used peritoneal distention medium, because it is non-flammable, colourless and has a higher blood solubility than air & the rapid absorption of CO2 in blood reduces the incidence of gas emboli.